Low ulnar nerve palsy is characterised by -a) Claw handb) Sensory loss of medial four digitsc) Weakness of gripsd) Inability to extend at M.C.P. jointe) Inability to abduct the thumb
1. a
2. bc
3. ad
4. ac

Correct answer: 4. ac

Explanation: Ulnar nerve causes ulnar claw hand.
There is sensory loss of medial one & half digits.
There is weakness of grip due to paralysis of intrinsic muscles, FCU and medial half of FDP.
There is loss of flexion at MCP joint due to paralysis of lumbricals and interossei.
Adduction of thumb is lost (not abduction).